Ion responsible to prevent polyspermy at the time of fertilization in mammals is -
1. Na
2. K
3. Ca
4. Mg

Correct answer: 3. Ca

Explanation: Ans. is 'c' i.e., Ca Only one sperm can enter into oocyte, and further entry of sperms is prevented by the activation of ovum. Fusion of membranes of the gametes (sperm and ovum) leads to ovum activation which involves following events:- Membrane potential of ovum decreases (depolarization). Release of calcium ions from intracellular egg reserve leads to exocytosis of cortical granules into the perivitelline space. The spread of cortical granules along perivitelline membrane prevents further entry of sperm into the ovum. This is called vitelline block to polyspermy.